A 37-year-old small business manager receives a gunshot wound in the pelvic cavity, resulting in a lesion of the sacral splanchnic nerves. Which of the following nerve fibers would primarily be damaged?
1. Postganglionic parasympathetic fibers
2. Postganglionic sympathetic fibers
3. Preganglionic sympathetic fibers
4. Preganglionic parasympathetic fibers

Correct answer: 3. Preganglionic sympathetic fibers

Explanation: The sacral splanchnic nerves consist primarily of preganglionic sympathetic neurons and also contain GVA fibers. None of the other fibers listed are contained in these nerves.